Sex ratio of children population in the age group of 0-6 years according to the 2011 census is -
1. 940
2. 914
3. 944
4. 933

Correct answer: 2. 914

Explanation: This information has been added in 22nd /e of Park
Child sex ratio (9-6 years) has reached an all time low of 914 since 1961. The fall has been 13 points from 927 (in 2001) to 914 (in 2011) for the country.